One of the following groups of enzymes does not exhibit stereospecificity
1. Oxidoreductases
2. Isomerases
3. Lyases
4. Transferases

Correct answer: 2. Isomerases

Explanation: All enzymes (except isomerases) exhibit stereospecificity, that reacts only with one set of stereoisomers.Whereas isomerases convert substrate from one isomerase to another. Harper 30th edition pg: 60